A patient has multiple meningiomas, acoustic neuroma and Hyperpigmented skin lesions ; most likely diagnosis is –
1. Neurofibromatosis
2. Tuberous sclerosis
3. Von Hippel lindau disease
4. Sturge weber syndrome

Correct answer: 1. Neurofibromatosis

Explanation: Multiple meningioma, acoustic neuroma and hyperpigmented skin lesions (cafe-au-lait macules) suggest the diagnosis of neurofibromatosis.